A patient undergoes a lipid profile screening. On withdrawing the blood, it appears white in colour, Which of the following is the most probable elevated lipoprotein?
1. Chylomicrons
2. HDL
3. LPL
4. Cholesterol

Correct answer: 1. Chylomicrons

Explanation: Answer- A. Chylomicrons White (Lactescent) appearance is caused by chylomicrons.